All are features of Marfan's syndrome, EXCEPT:
1. Lens dislocation
2. Aortic regurgitation
3. Mousy odor urine
4. Pneumothorax

Correct answer: 3. Mousy odor urine

Explanation: Ans. is 'c' Mousy odour urine Mousy odour urine is a feature of homocystinuriaMarfan's syndrome:It is characterized by a triad of:Long thin extremities* frequently associated with other skeletal changes such as loose joints* and arachnodactyly *Reduced vision as a result of dislocation of lens*Aortic aneurysm*